All are seen in alcohol withdrawal syndrome EXCEPT:
1. Hallucination
2. Tremors
3. Hypersomnolence
4. Autonomic hyperactivity

Correct answer: 3. Hypersomnolence

Explanation: ANSWER: (C) HypersomnolenceREF: Kaplan & Sadocks Synopsis of Psychiatry 10th Edition Page 396"Insomnia not Hypersomnolence is seen in alcohol withdrawal"See APPENDIX-72 for "WITHDRAWAL SYMPTOMS" APPENDIX - 72Withdrawal Symptoms: AlcoholCocaineOpioidCraving++++ +++++MoodAnxiety or psychomotor agitationDepressionDysphoric moodSleepInsomniaHypersomnolenceInsomniaTremor+++ AppetiteDecreased (Anorexia)Increased AutonomichyperactivitySweating, Tachycardia (>100), hypertension, hyperreflexia, diaphoresis, hyperthermia, and muscle fasciculations Tachypnea, Hyperreflexia, Tachycardia, Hypertension, Sweating, HyperthermiaGITNausea or vomiting Diarrhea, Cramping, Nausea, VomitingHallucinationstransient visual, tactile, or auditory hallucinations or illusions Sensory distortions or hallucinations (eg, transient visual, tactile, or auditory)SeizuresGrand mal seizuresSingle event.NIC substance abuse related to seizures Others COLD TURKEY (Piloerection & Rhinorrhea), Hyperalgia, joint and muscle aches.Pupillary dilation and photophobia